10 year old girl with primary amenorrhoea, wide-spaced nipples, streak-like gonads. The most likely diagnosis:
1. MRKH syndrome
2. Turner's syndrome
3. Swyer syndrome
4. Mixed gonadal dysgenesis

Correct answer: 2. Turner's syndrome

Explanation: Turner Syndrome: 45,X Gonadal Dysgenesis: The cardinal features of 45,X gonadal dysgenesis are a variety of somatic anomalies, sexual infantilism at puberty secondary to gonadal dysgenesis, and short stature. Typical manifestations of Turner's syndrome in adulthood include short stature, hypogonadism, primary amenorrhoea, webbed neck, high-arched palate, wide-spaced nipples, hypertension, and renal abnormalities. Emotional disorders are common. Ref: Conte F.A., Grumbach M.M. (2011). Chapter 14. Disorders of Sex Determination and Differentiation. In D.G. Gardner, D. Shoback (Eds), Greenspan's Basic & Clinical Endocrinology, 9e.